Laryngocoele develops from -
1. Thyroid cartilage
2. Ventricular saccule
3. Cricoid cartilage
4. Epiglottis

Correct answer: 2. Ventricular saccule

Explanation: Ans. is 'b' i.e., Ventricular saccule * Laryngocoeles refer to dilatations of the laryngeal ventricular saccule located in paraglottic space of supraglottis.